True about immunoglobulins-
1. IgE has maximum serum concentration
2. IgG has maximum serum concentration
3. IgA has minimum serum concentration
4. IgM has minimum serum concentration

Correct answer: 2. IgG has maximum serum concentration